a pateint with ACUTE KIDNEY INJURY having a creatinine of >4 , is being treated in icu for dialysis since 15days ,developed DVT due immobilisation , now what is the best anticoagulant to be given
1. desirudin
2. argatroban
3. lepirudin
4. asprin

Correct answer: 2. argatroban

Explanation: lepirudin ,desirudin,argatraban are direct thrombin inhibitors which are used for prophylaxis of DVT . all are excreated by kidney except argatroban which is excreated by liver . so from the options given its the best drug to be given ref : kd tripathi 8th ed